Argentaffin cells in the GIT produce
1. Gastrin
2. Pepsin
3. HCl
4. None of the above

Correct answer: 4. None of the above

Explanation: Their granules contain a chemical called serotonin, which stimulates smooth muscle contractions.